Smoking predisposes to all of the following cancers EXCEPT:
1. Carcinoma larynx
2. Carcinoma bladder
3. Carcinoma esophagus
4. Lymphoma

Correct answer: 4. Lymphoma

Explanation: Ans: D i.e. Lymphoma